One tablet of chlorine is effective to disinfect how much quantity of water
1. 5 L
2. 20 L
3. 10 L
4. 30 L

Correct answer: 2. 20 L